Allocation concealment is not possible in a research study conducted on the effects of Risperodone at NIMHANS, Bangalore. Selection bias in a study can be eliminated by which of the following procedures?
1. Randomization
2. Single blinding
3. Double blinding
4. Matching

Correct answer: 1. Randomization

Explanation: Two strategies are used to reduce selection bias: allocation concealment and randomization. The ideal strategy to eliminate selection bias is randomization.